ASD is associated with all EXCEPT:
1. Infective endocarditis
2. Stroke
3. Arrhythmia
4. Pulmonary hypertension

Correct answer: 1. Infective endocarditis

Explanation: - Infective endocarditis is usually not seen in ASD, as the gradient between right and left atria is very small. ATRIAL SEPTAL DEFECT : - Connection b/w 2 atria - 2 types: Ostium primum Ostium secundum - Auscultatory findings: Wide, fixed split of S2 Large ASD - Diastolic murmur in tricuspid area; Ejection systolic murmur in pulmonary area are seen - Assessment of severity: Severity is directly proportional to intensity of murmurs & heart size - Complications: Pulmonary hypertension - by 2nd/ 3rd decade Atrial arrythmias Heart failure - in late adulthood stroke - Treatment: Small defects - - observation, as spontaneous closure is seen in most cases Others - surgical closure of defect EXTRA EDGE: Infective endocarditis is most commonly associated with VSD Congenital rubella syndrome is least commonly associated with ASD